Most common glomerulonephritis associated with HIV is which of the following
1. Focal segmental glomerulonephritis
2. Diffuse glomerulosclerosis
3. Membrane proliferative glomerulonephritis
4. Crescentric glomerulonephritis

Correct answer: 1. Focal segmental glomerulonephritis

Explanation: A morphologic variant of FSGS is called collapsing glomerulopathy and is the most characteristics lesions of HIV related nephropathy Refer robbins 9/e p919